Most unstable leprosy is ?
1. BB
2. BL
3. BT
4. TT

Correct answer: 1. BB

Explanation: Ans. is'a'i.e., BBStable forms of leprosy -> polar forms of leprosy, i.e., Tuberculoid leprosy (TT) and lepromatous leprosy (LL).Unstable forms of leprosy -+ Borderline forms of leprosy, i.e., Borderline tuberculoid (BT), borderline (BB) and Borderline lepromatous (BL). BB is the most unstable form.